Pseudohermaphroditism is seen with which tumor-
1. RCC
2. Wilms tumor
3. Carcinoma lung
4. HCC

Correct answer: 2. Wilms tumor

Explanation: Wilms tumor The sporadic concurrence of male pseudohermaphroditism and chronic glomerulopathy is associated with an extremely high risk of Wilms tumor. We report our experience with an infant who developed this triad (Drash syndrome) and reviews the 21 patients described in the literature, to emphasize the importance of early diagnosis and to suggest guidelines for management. The dysgenetic gonads are always intra-abdominal.